All of the following intraocular foreign bodies produce suppurative reaction except
1. Pure zinc
2. Mercury
3. Copper alloys
4. Nickel

Correct answer: 3. Copper alloys

Explanation: INTRAOCULAR FOREIGN BODIES Reactions of the foreign body Depending upon its chemical nature following 4 types of reactions are noted in the ocular tissues: 1. No reaction is produced by the inert substances which include glass, plastic, porcelain, gold silver and platinum. 2. Local irritative reaction leading to encapsulation of the foreign body occurs with lead and aluminium particles. 3. Suppurative reaction is excited by pure copper, zinc, nickel and mercury particles. 4. Specific reactions are produced by iron (Siderosis bulbi) and copper alloys (Chalcosis). Ref:- A K KHURANA; pg num:-409